A person has received complete immunization against tetanus 10 years ago. Now he presents with a clean wound without any lacerations from an injury sustained 2.5 hours ago. He should now be given -
1. Full course of tetanus toxoid
2. Single dose of tetanus toxoid
3. Human tet globulin
4. Human tet globulin and single dose of toxoid

Correct answer: 2. Single dose of tetanus toxoid